All are USG finding of Autosomal recessive PCKD except?
1. Retain reniform shape (Kidneys)
2. Oligohydramnios
3. Corticomedullary differentiation is lost
4. Cysts are greater than 3 cm in diameter

Correct answer: 4. Cysts are greater than 3 cm in diameter

Explanation: Cysts rarely exceed 1 - 2 cm in diameter.